Which clotting factor is required for stabilization of fibrin clot?
1. XIIIa
2. VIII
3. IX
4. V

Correct answer: 1. XIIIa

Explanation: The fibrin is initially a loose mesh of interlacing strands. It is converted by the formation of covalent cross-linkages to a dense, tight aggregate (stabilization). This latter reaction is catalyzed by activated factor XIII ie XIIIaVIII - Antihemophilic factor (AHF), antihemophilic factor A, antihemophilic globulin (AHG)IX - Plasma thromboplastin component (PTC), Christmas factor, antihemophilic factor BV - Proaccelerin, labile factor, accelerator globulinRef: Ganong's Review of Medical Physiology Twenty-Third Edition Page No:532